Deficiency of which of the following vitamin is most commonly seen in short bowel syndrome with ileal resection:
1. Vitamin B12
2. Vitamin B1
3. Folic acid
4. Vitamin K

Correct answer: 1. Vitamin B12

Explanation: Ans. (a) Vitamin B12* Deficiencies in SBS:# Bile salt malabsorption# B12 deficiency (Most common)# Fat soluble vitamin deficiency# Steatorrhea (Fat loss)